Anion gap is mostly due to:
1. Proteins
2. Sulphates
3. Phosphates
4. Nitrates

Correct answer: 1. Proteins

Explanation: A i.e. Proteins Anion gap (AG) -Represents unmeasured anions in plasmaQ - AG is mostly due to proteinsQ - Normal AG is 10 -12 mmol/LQ. - Decrease in serum albumin by 1g/di decreases AG by 2.5meq/LQ - 0 O_ " align="left" height="183" width="53">The concentration of anions and cations in plasma must be equal to maintain electrical neutrality. However, only certain cations (Nat) and anions (C1-, HCO3- ) are routinely measured in clinical laboratory. Anion gap (AG) represents the unmeasured anions in the plasma. (difference between 'unmeasured cations & unmeasured anions') It is calculatedQ as follows: AG = The most important unmeasured cations: Ca2+, Mg2+, K+ The most important unmeasured anions: Proteins (Albumin), sulphate, phosphates Proteins are present in our body in much more quantities as compared to other unmeasured anions.